The largest synovial joint in the body is
1. Shoulder joint
2. Hip joint
3. Knee joint
4. Ankle joint

Correct answer: 3. Knee joint

Explanation: (C) Knee joint # Synovial joints (or diarthroses, or diarthroidal joints); are the most common and most moveable type of joints in the body.> As with all other joints in the body, synovial joints achieve movement at the point of contact of the articulating bones.> Structural and functional differences distinguish the synovial joints from the two other types of joints in the body, with the main structural difference being the existence of a cavity between the articulating bones and the occupation of a fluid in that cavity which a ds movement.